Most halophilic vibrio ?
1. V cholerae
2. V vulnificus
3. V alginolyticus
4. V parahemolyticus

Correct answer: 3. V alginolyticus

Explanation: Ans. is 'c' i.e., V alginolyticus V alginolyticus is most salt tolerant (most halophilic) species of vibrio.